Lipschutz bodies are seen in
1. Hepatitis  - B
2. Vaccinia
3. Variola
4. Herpes simplex

Correct answer: 4. Herpes simplex

Explanation: Lipschutz bodies are inclusion bodies seen in herpes simplex.